Which one is found in HSP?
1. IgA
2. IgM
3. IgG
4. IgE

Correct answer: 1. IgA

Explanation: Ans. (a) IgA(Ref: Robbins 9th/pg 926; 8th/pg 934)Most common antibody seen in these immune complexes is IgA Q (IgA levels are elevated)The microscopic hallmark of HSP is the deposition of IgA in the walls Q of involved blood vessels.